Which of the following is not a part of Wallenberg syndrome?
1. Ipsilateral Horner's syndrome
2. Ipsilateral loss of taste
3. Contralateral impaired thermal sensation over the arm
4. Contralateral atrophy of tongue

Correct answer: 4. Contralateral atrophy of tongue

Explanation: Wallenberg syndrome- due to the occlusion of vertebral artery, posterior inferior cerebellar artery or lateral medullary arteries. Ipsilateral features:1. Ataxia2. Loss of pain, impaired sensation over half of face3. Nausea, vertigo, nystagmus and diplopia4. Horner's syndrome5. Dysphagia, diminished gag reflex, vocal cord palsy6. Loss of taste7. Numbness of arm, leg or trunk Contralateral features:1. Impaired thermal and pain sensation over half of the body Ipsilateral paralysis with atrophy of half of tongue and contralateral paralysis of arms and legs sparing face with impaired tactile and proprioceptive sensation occurs in medial medullary syndrome.